In polyarteritis nodosa, aneurysms are seen in all,EXCEPT -
1. Kidney
2. Lung
3. Liver
4. Pancreas

Correct answer: 2. Lung